OCP's efficiency is reduced by simultaneous use of:a) Rifampicinb) Carbamazepinec) Propranolold) Tricyclic antidepressants
1. ab
2. a
3. ad
4. bc

Correct answer: 1. ab